TRUE statement regarding the AV node:
1. The path length is greater in the "N" region
2. The path length is greater in the "N-H" region
3. Impulse velocity is slowest in the "A-N" region
4. Impulse velocity is slowest in the "N" region

Correct answer: 4. Impulse velocity is slowest in the "N" region

Explanation: There are 3 regions of the AV node: A-N region -the junction between atrial fibers and nodal tissue N region - the major part of the nodal tissue N-H region - where nodal fibers merge into His bundle The path length, for impulse propagation, is longest in the A-N region. The velocity of impulse is slowest in the N region. The N region has fibers which depolarize very slowly Most of the AV blocks occur in AN and N regions.